Retrosternal goiter:
1. Causes stridor
2. Obtains its blood supply from thoracic vessels
3. Characteristically malignant
4. Must be removed by thoracotomy

Correct answer: 1. Causes stridor